Pain rating index is presided by-
1. Faces scale
2. Visual analogue scale
3. Mc Gill questionnaire
4. CHEOP scale

Correct answer: 3. Mc Gill questionnaire